Thorium dioxide causes -
1. Lymphoma
2. Lymphangiosarcoma
3. Angiosarcoma
4. Hemangioendothelioma

Correct answer: 3. Angiosarcoma

Explanation: Hepatic angiosarcomas are associated with carcinogen exposures, including arsenic, thoracotrast and polyvinyl chloride.